There is a retained iron foreign body. What is the best investigation for monitoring vision?
1. ERG
2. Dark adaptometry
3. Serial Evoked Potentials
4. Arden index

Correct answer: 1. ERG

Explanation: Ans. a. ERG Best investigation for monitoring vision in patients of retained iron foreign body ERG. Retained Intraocular Foreign Body A retained foreign body may be associated with several types of glaucoma. Loss of integrity of the globe as a result of penetration may produce a shallow or flat anterior chamber. This, in association with attendant inflammation, can result in secondary angle-closure glaucoma with extensive peripheral anterior synechiae. Frank disruption of the lens capsule may produce lens particle glaucoma. Cataract formation may produce phacomorphic glaucoma or phacolytic glaucoma if the cataract becomes hypermature. Siderotic glaucoma may occur as a late manifestation of a retained iron-containing foreign body. Diagnosis: Dilated fundus exam may allow easy visualization of the retained foreign body. Occasionally, a foreign body is located in the anterior chamber and is found on gonioscopy. If the media are not clear enough to allow fundoscopic examination, additional studies including plain films, computed tomography, and ultrasonography are helpful in confirming the diagnosis. Reduced retinal function may also be evident with a reduction electroretinogram activity.